Homocystinuria is due to abnormal metabolism of
1. Methionine
2. Valine
3. Tryptophan
4. Leucine

Correct answer: 1. Methionine

Explanation: Homocystinuria is a group of disorder of methionine metabolism.